All of the following amino acids are converted to succinyl-CoA, EXCEPT:
1. Methionine
2. Isoleucine
3. Valine
4. Histidine

Correct answer: 4. Histidine

Explanation: Histidine, Arginine, Proline and Glutamine are aminoacids that form alpha ketoglutarate. Methionine, Valine, Isoleucine and Threonine are aminoacids that form Succinyl-CoA. Ref: Lippincott's Illustrated Reviews: Biochemistry, 3rd Edition, Chapter 20, Pages 260-61